Arrange the insulin in order of their duration of action (shortest first and longest last) a. NPH b. Glargine c. Detemir d. Degludec
1. d<a<c<b
2. a<c<b<d
3. b<a<d<c
4. c<d<a<b

Correct answer: 2. a<c<b<d

Explanation: Duration of action of insulin : a<c<b<d a. NPH- Intermediate Acting(10-20h) b. Glargine- Long Acting(20-24h)- pH-Acidic c. Detemir - Long acting(16-24h) d. Degludec- Longest acting (>40h)